Capsule endoscopy is used for?
1. GI Bleeding
2. Motility disorders
3. GERD
4. None of the above

Correct answer: 1. GI Bleeding

Explanation: Ans ACommon indications for capsule endoscopy are: Obscure gastrointestinal bleeding, Crohns disease, polyps, recurrent abdominal pain, celiac disease